All of the following are included in grievous injury/ hurt except:
1. Loss of testis
2. Loss of eye
3. Loss of kidney
4. Abrasion of the face

Correct answer: 4. Abrasion of the face

Explanation: D i.e. Abrasion of the face